Muscle attached to navicular tuberosity is
1. Tibialis anterior
2. Tibialis posterior
3. Peroneous longus
4. Extensor hallucis longus

Correct answer: 2. Tibialis posterior

Explanation: Navicular bone Medial surface has a blunt and prominent tuberosity directed downwards.The tuberosity is separated from the plantar surface by a groove. Tuberosity receives the insertion of Tibialis posterior.The groove below the tuberosity transmits a part of the tendon of this muscle to another bones. {Reference: BDC 6E pg no.34}